Olopatidine acts as an:-
1. Antihistaminic
2. Anti-inflammatory
3. Anti-emetic
4. Anti-psychotic

Correct answer: 1. Antihistaminic

Explanation: Olopatadine is a topical second generation anti-histaminic drugs It is used for allergic conjunctivitis as eye drops. ANTIHISTAMINIC DRUGS FIRST GENERATION SECOND GENERATION Promethazine Terfendaine (withdrawn now) Diphenhydramine Astemizole (withdrawan) Dimenhydrinate Fexofenadine Pheniramine Loratidine Chlorpheniramine Cetirizine Cinnarizine Levocetirizine Meclizine Mizolastine Cyclizine Azelastine Hydroxyzine Olopatadine Mepyramine Ebastine Buclizine Desloratidine